Which of the following antimalarial drug is a slow acting schizonticide:
1. Artemether
2. Mefloquine
3. Pyrimethamine
4. Quinine

Correct answer: 3. Pyrimethamine

Explanation: Ans. C i.e. Pyrimethamine